Length of small intestine is:
1. 4 metres
2. 6 metres
3. 9 metres
4. 10 metres

Correct answer: 2. 6 metres

Explanation: Ans. B i.e. 6 metresSmall intestine dimensionsThe average length of the small intestine in an adult human male is 6.9 m (22 feet 6 inches), and in the adult female 71 m (23 feet 4 inches).It can vary greatly, from as short as 4.6 m (15 feet) to as long as 9.8 m (32 feet).It is approximately 2.5-3 cm in diameter.